Which of the following disorders is LEAST likely to cause high output failure?
1. Thiamine deficiency
2. Addison disease
3. Hyperthyroidism
4. Paget disease of bone

Correct answer: 2. Addison disease

Explanation: High output failure is least likely to be associated with Addison disease, which is characterized by massive salt wasting and hypotension from mineralocorticoid deficiency. Patients are more likely to experience hypovolemic shock than high output failure. High output failure is the outcome of any condition that increases blood volume, increases positive inotropism (contractility), increases blood flow by decreasing blood viscosity (severe anemia), or decreases peripheral vascular resistance with the subsequent increase in venous return to the heart.